The most common cause of organic amnestic syndrome is
1. Alzheimer's disease
2. Concussion
3. Hypoxia
4. Vitamin deficiency

Correct answer: 4. Vitamin deficiency

Explanation: organic amnesia and the amnestic syndrome. .The amnestic syndrome is characterized by disorientation particularly in time, impairment of immediate recall, loss of recent memory, retroactive loss of remote memory of varying extent and a tendency to confabulation. Ref Harrison20th edition pg 2776